Hypolipidemic agents act on
1. HMG CoA synthetase
2. HMG CoA oxygenase
3. HMG CoA reductase
4. HMG CoA hydratase

Correct answer: 3. HMG CoA reductase

Explanation: HMG CoA reductase 
Hypolipidemic drugs (statins) inhibit HMG-CoA reductase